If a life time probability to develop a lung cancer is 25% than what are odds of developing lung cancer in life time is-
1. 3:01
2. 1:03
3. 2:02
4. 4:01

Correct answer: 2. 1:03